One of the following is obtained in the by beta oxidation of odd chain fatty acids:
1. Acetyl-CoA + Acetyl-CoA
2. Acetyl-CoA + Propionyl-CoA
3. Propionyl CoA + Propionyl-CoA
4. Acetyl-CoA alone

Correct answer: 2. Acetyl-CoA + Propionyl-CoA

Explanation: Ans. B. Acetyl-CoA + Propionyl-CoA(Ref: Harper 31/e page 209)Oxidation of Odd Chain Fatty AcidTakes place in the mitochondria.Oxidation of a fatty acid with an odd number of carbon atoms yields acetyl-CoA and a molecule of propionyl-CoA.The propionyl residue from an odd-chain fatty acid is the only part of a fatty acid that is glucogenic